A child with repeated skin infections presents with a liver abscess. The possible organism is ?
1. S. Mileri
2. B. Fragilis
3. S. Aureus
4. S. Agalactiae

Correct answer: 3. S. Aureus

Explanation: Ans. is 'c' i.e., S. AureusPyogenic liver abscess is more common in children followed by amoebic and fungalStaphylococcus aureus is the most common organism